A 20 year old female was diagnosed with granulose cell tumor of the ovary. Which of the following bio markers
would be most useful for follow-up of patient?
1. Inhibin
2. CA50
3. CA 19-9
4. Neuron – specific enolase

Correct answer: 1. Inhibin

Explanation: Granulosa cell tumor
• The most common type of ovarian tumor that is composed of cells that stain positively with inhibin.
• Histologically, the cells may form Call-Exner bodies
• The tumor cells may secrete estrogens and cause precocious sexual development in girls or increase the risk for endometrial hyperplasia and carcinoma in women.
• Less commonly granulosa cell tumors can secrete androgens and produce masculinization.